Irreversible step (s) in glycolysis is/are:
1. Hexokinase
2. Phosphofructokinase
3. Pyruvate kinase
4. All of the above

Correct answer: 4. All of the above

Explanation: All of the above